Coral-red fluorescence with Wood's light strongly suggests the diagnosis of?
1. Ash leaf macules
2. Acanthosis nigricans
3. Erysipeloid
4. Erythrasma

Correct answer: 4. Erythrasma

Explanation: Ans. D. Erythrasmaa. Fluorescence under Wood light.b. Coral-red fluorescence with Wood's light is attributable to coproporphyrin III and strongly suggests erythrasma, although it does not necessarily indicate active infection.c. Pink fluorescence is also demonstrable ind. Some necrotic tumors and on the normal tongue.e. In the follicular openings of the normal skin of the face and the upper trunk, where corynebacteria or Propionibacterium are the likely cause.f. In the groins and axillae, acanthosis nigricans may fluoresce a brilliant pink colour.